After how many years the intrauterine contraceptive device, Cu-T 380A, should be replaced?
1. 4 years
2. 6 years
3. 8 years
4. 10 years

Correct answer: 4. 10 years

Explanation: Cu-T 380A is composed of a stem wrapped with 314 mm2 of fine copper wire, and each arm has a 33-mm2 copper bracelet--the sum of these is 380 mm2 of copper. Two strings extend from the base of the stem. The Cu-T 380A is approved for 10 years of continuous use. Ref: Hoffman B.L., Schorge J.O., Schaffer J.I., Halvorson L.M., Bradshaw K.D., Cunningham F.G., Calver L.E. (2012). Chapter 5. Contraception and Sterilization. In B.L. Hoffman, J.O. Schorge, J.I. Schaffer, L.M. Halvorson, K.D. Bradshaw, F.G. Cunningham, L.E. Calver (Eds), Williams Gynecology, 2e.